Kimmelsteil wilson nodules are pathognomonic of
1. HIV associated FSGS
2. Malignant hypertension affecting kidney
3. Diabetic nephropathy
4. HCV associated nephropathy

Correct answer: 3. Diabetic nephropathy

Explanation: Nodular glomerulosclerosis also called Kimmelstein wilson nodules are Pathognomonic of Diabetic Nephropathy.